Blood smear of patient of G6PD shows?
1. Howell jolly bodies
2. Heinz bodies
3. Cabot rings
4. Pelger-Huet anomaly

Correct answer: 2. Heinz bodies

Explanation: Ans. (b) Heinz bodies.* Heinz bodies are a result of polymerization and precipitation of denatured hemoglobin molecules. They are visible on special stains only like supra-vital stain.* Howell jolly bodies are due to DNA which appears as a basophilic (purple) spot on the otherwise eosinophilic (pink) erythrocyte on a standard H&E stained blood smear. These inclusions are normally removed by the spleen during erythrocyte circulation, but will persist in individuals with functional hyposplenia or asplenia.Image source- style="text-decoration: underline; color: rgba(17, 85, 204, 1); font-family: Times New Roman, Times, serif">